All are true/ except regarding patch test
1. Diagnose ABCD
2. Read after 48 hours
3. Angry back IRTA false negative test
4. T.R.U.E test

Correct answer: 3. Angry back IRTA false negative test

Explanation: C. i.e. Angry back lit false negative test The gold standard method for the diagnosis of allergic dermatitis resulting from type IV delayed hypersenstivityQ. Such as allergic contact dermatitis (ACD) & air borne contact dermatitis (ABCD)Q remains the patch test. It is read after 48 hours (2 days)Q Type 1 hypersensitivity (eg atopic dermatitis) is detected by prick test (of debatable significance). And type IV delayed hypersensitivity (eg contact dermatitis) is diagnosd by patch skin test (gold standard). So skin test can be done for Type I (atophy) & type IV (contact dermatitis). Type of hypersensitive reaction Clinical Syndrome Type I : IgE type AnaphylaxisQ AtopyQ (prick test) Type II : Cytolytic & Antibody mediated damage? Cytotoxic Thrombocytopenia- agranulocytosis, hemolytic anemia etc. Type III : Immune Arthrus reaction complex Serum sickness Type IV : Delayed Tuberculosis Hypersensitivity Contact dermatitis (patch test)Q